Sonic system runs at
1. 2-3 KHZ
2. 25-30 KHz
3. 15-20 KHz
4. None of the above

Correct answer: 1. 2-3 KHZ